Buprenorphine drug is a type of
1. Mu partial agonist
2. Mu agonist
3. Mu partial antagonist
4. Mu antagonist

Correct answer: 1. Mu partial agonist

Explanation: Opioid receptor Agonist / Narcotics: used in pain management, treatment for opiate addiction Methadone - u agonist Buprenorphine- partial u agonist, weak kantagonist. Overdosage: can occur with Methadone, less likely with Buprenorphine (partial agonist) Drug Action Uses Buprenorphine* partial u agonist, weak k antagonist pain management opiate addiction Bupropion * Norepinephrine reuptake inhibitor Antidepressant (with minimal sexual dysfunction) , Smoking cessation Buspirone * 5-HT partial agonist, D2 agonist/antagonist Generalized anxiety disorder Opioid antagonist uses Naloxone *Inactive orally t1/2- 1hr Morphine poisoning Naltrexone Active orally t1/2- 1-3 hr Opioid, alcohol dependence Nalmefene Active orally t1/2- 8-10hr Opioid, alcohol dependence Reference: Page No.3174 31.24 Opioid Receptor Agonists: Methadone and BuprenorphineKaplan & Sadock's Comprehensive Textbook of Psychiatry, 9th Ed